In fracture surgical neck of humerus, the following nerve injury is common:
1. Axillary
2. Radial
3. Ulnar
4. Median

Correct answer: 1. Axillary

Explanation: A i.e. Axillary